All are example for randomized control trials except -
1. Natural experiments
2. Clinical trials
3. Risk factor trials
4. Preventive trials

Correct answer: 1. Natural experiments